Crystal of pseudogout is made up of -
1. CPPD
2. Urate
3. Calcium carbonate
4. Xanthine

Correct answer: 1. CPPD

Explanation: Ans. is 'a' i.e., CP PD Pseudogouto It is one of the forms of "Calcium pyrophosphate dihydrate " (CPPD) arthropathy.o Pseudogout commonly involves the larger joints. Knee joint is most commonly involved; other sites are wrist, elbow, shoulder, ankle. Involvement of small joints is uncommon,o Age group is > 60 yrs.o In CPPD arthropathy, CPPD deposition occurs in articular tissues, ft can present in any of the following three forms :-Asympatomatic chondrocalcinosisAcute synovitis - PseudogoutChronic pyrophosphate arthropathyo The radiologic hallmark of CPPD is "chondrocalcinosis. Chondrocalcinosis is seen as punctate anchor linear radiodense deposits in fibrocartilaginous joint menisci or articular hyaline cartilage,o Definitive diagnosis is made by synovial fluid polarised light microscopy which shows weakly positive, birefringent, rhomboid crystals of CPPD. o In acute synovitis form, leucocvtosis (thousands to I lac cells/pl) is seen in synovial fluid examination,o It may be associated with certain underlying disease such as -Primary hyperparathyroidismHemochromatosisHypomagnesemiaHypophosphatasiaHypothyroidism